Stapedius muscle is
1. Unipennate muscle
2. Asymmetric Bipennete
3. Symmetric Bipennete
4. Muscle of Neck region

Correct answer: 2. Asymmetric Bipennete